Synovial fluid contains-
1. Hyaluronic acid
2. Chondroitin sulphate
3. Keratan sulphate
4. Dermatan sulphate

Correct answer: 1. Hyaluronic acid

Explanation: Hyaluronic acid Longest GAG. Present in synovial fluid & vitreous humor. Does not contain any sulfate. Made up of N-Acetyl Glucosamine & D-Glucuronic acid. Forms clear, highly viscous, non-compressible solutions that serve as a lubricant Role in Cell Migration during Morphogenesis Role in Wound Healing. Provides tensile strength and elasticity.